Guarnieri's body is seen in -
1. Chicken poxs
2. Small pox
3. Rubella
4. Measles

Correct answer: 2. Small pox

Explanation: Vaccinia infected cells show rather smaller multiple inclusions known as Guarneiri bodies. REF:ANANTHANARAYAN AND PANIKER'S TEXTBOOK OF MICROBIOLOGY 9TH EDITION PAGE NO:444